Raji cell assay are used to quantitate -
1. Complement levels
2. Immune complexes
3. T- cells
4. IFN levels

Correct answer: 2. Immune complexes

Explanation: Ans. is 'b' i.e., Immune complexes The Raj i cell asay is used to identify circulating immune complexes. o The assay is based on the ability of lymphoblastoid cells to bind serum immune complex.